All are true regarding the trigone of the urinary bladder except-
1. Mucosa is loosely associated to the underlying musculature
2. Mucosa is smooth
3. It is lined by transitional epithelium
4. It is derived from the absorbed part of the mesonephric duct

Correct answer: 1. Mucosa is loosely associated to the underlying musculature

Explanation: Mucosa is firmly attached to the underlying musculature.